The Term Clearance of drug means:
1. Unit volume of plasma which is cleared off drug in unit of time
2. Amount of drug excreted in urine
3. Amount of drug metabolised in unit of time
4. Fraction of dose administered only

Correct answer: 1. Unit volume of plasma which is cleared off drug in unit of time

Explanation: Unit volume of plasma which is cleared off drug in unit of time